Fat necrosis is common in -
1. Omentum
2. Breast
3. Retroperitoneal fat
4. All of the above

Correct answer: 4. All of the above

Explanation: There are 2 Types of Fat Necrosis 1. Enzymatic fat necrosis This is due to action of lipase on adipose tissue. It occurs most frequently in acute pancreatitis due to leakage of lipase. Depending on the severity of acute pancreatitis, fat necrosis may occur in : Adipose tissue contiguous to pancrease, i.e., retroperitoneal fat. Adipose tissue in anterior mediastinum. Bone marrow Omental and abdominal fat 2. Nonenzymatic or Traumatic fat necrosis Occurs due to trauma Is seen in subcutaneous tissue of breast, thigh, and abdomen.